2 weeks baby central cyanosis, grade II murmur, normal Sa single S2, plethoric lung ? diagnosis -
1. TGA
2. TAPVC
3. TOF
4. Pulmonary atresia

Correct answer: 1. TGA

Explanation: Ans. is 'a' i.e., TGA Transposition of Great vessel (TGA)Aorta arise from right ventricle and pulmonary artery from left ventricle.Pt. with pure TGA with intact VSD have cyanosis at birth.Have rapid breathing with CHF within first week of life.Heart size normal initially lateron increase.Normal S., single S,.Grade II - Ejection Systolic Murmur.X-ray show- - Cardiomegaly with narrow' base and plethoric lung field, (egg on side appearance)TAPVCCyanosis -10 week of life.Have widely fixed Sro TOF and pulmonary atresia have oligemic lung field.